Grid is a device used for -
1. Reducing scattered radiation
2. Reducing patient's exposure time
3. Reducing the contrast of the X-ray
4. All of the above

Correct answer: 1. Reducing scattered radiation

Explanation: X ray grid ensures the contrast of image on X ray film. X ray grid absorbs the scattered xrays and filters out radiations